Phantom limp sensation are best described by
1. Weber Fechner law
2. Power law
3. Bell-Magendie law
4. Law of projection

Correct answer: 4. Law of projection

Explanation: Ans. (d) Law of projection(Ref: Ganong, 25th ed/p.171)Law of projection:This law states that "No matter where a particular sensory pathway is stimulated along its course to the cortex, the conscious sensation produced is referred to the location of the receptor"This law explains phantom pain wherein Some of these patients may complain of pain and proprioceptive sensations in the absent limb following amputation